Which of the following patient require Vit B12 supplementation?
1. Patient on strict vegetarian diet
2. Patient with normal B12 level having dementia
3. Patient with elevated homocystein level
4. General debility

Correct answer: 1. Patient on strict vegetarian diet

Explanation: Dietary deficiency of  B12,  is seen among the  strict  vegetarians of  low  socioeconomic group in the developing countries (lndia, Srilanka etc.).